Pilocarpine eye drops act as
1. Directly acting mydriatic
2. Directly acting miotic
3. Indirectly acting miotic
4. Indirectly acting mydriatic

Correct answer: 2. Directly acting miotic

Explanation: Ans. (b) Directly acting mioticRef: KDT 7/e, p. 105It is a cholinomimetic alkaloid and acts directly on muscarinic receptors and also on ganglionic muscarinic receptors causing miosis, ciliary muscle contraction and fall in IOP.